Fluroquinolone mechanism of action in gram positive organism is by -
1. DNA gyrase
2. Topoisomerase II
3. Topoisomerase III
4. Topoisomerase IV

Correct answer: 4. Topoisomerase IV

Explanation: Ans. is 'd' i.e., Topoisomerase IV o The FQs inhibit the enzyme enzyme bacterial DNA gyrase in gram negative bacteria. In the gram - positive bacteria the major target of FQ action is a similar enzyme topoisomerase IV which nicks and separates daughter DNA strands after DNA replication.